Which of the following has head at epiphysis?
1. Distal phalanx
2. Middle phalanx
3. Thumb metacarpal
4. Third metacarpal

Correct answer: 4. Third metacarpal

Explanation: Ans. is 'd' i.e., Third metacarpal All metacarpals (except first) have Distal (head) epiphysis.First metacarpal and all phalanges have - Proximal (base) epiphysis.Thus, 1' metacarpal resembles phalanges more than other metacarpals.